Sharpey's fibres are derived from :
1. Hertwig's root sheath
2. Epithelial rests of malassez
3. Alveolar bone
4. Dental follicle

Correct answer: 4. Dental follicle